Cyclophosphamide is :
1. Alkylating agent
2. Antitumor antibiotic
3. Monoclonal antibody
4. Antimetabolites

Correct answer: 1. Alkylating agent